Iris cysts are prevented by
1. Atropine
2. Pilocarpine
3. Phenylephrine
4. Ecothiopate

Correct answer: 3. Phenylephrine

Explanation: C i.e. Phenylephrine